After emitting an a particle, what will happen to daughter nuclei
1. Mass number increases by 4
2. Mass number decreases by 4
3. Atomic number increases by 4
4. Atomic number decreases by 4

Correct answer: 2. Mass number decreases by 4

Explanation: Ans: b (Mass number decreases by 4) Ref: Grainger and Allison's radiology, 4th ed, 139; Park, 19th ed, p. 600Charge of an alpha particle is +2 and mass is 4 units. Source of alpha particle is nucleus.PropertyabgX-raysNature2He4 or 2a4Charge +2 mass 4 unit-2e=bCharge = -1Mass almost zero.0g0No charge no massElectromagnetic waves, no chargeSourceNucleusConsists of electron of nuclear originHigh frequency radiation having highKinetic energy.Produced when a beam of high speed cathode rays strike tungsten target.Penetrating power+++++++variableIonizing or damaging power10,000 x100 xX-Frequency and wavelength are inversely related.Neutrons are uncharged particles with variable penetration power.Alpha particles are positively charged heavy particles with less penetrating power.X-rays are electromagnetic waves which are generated when a beam of high speed cathode rays strike the anode.